Opacity around colonies of Clostridium perfringens is due to:
1. Theta toxin
2. Lecithinase
3. Desmolase
4. Cytokinin

Correct answer: 2. Lecithinase

Explanation: Ans. is 'b' i.e., Lecithinase(Ref: Ananthanarayan, 9th/e, p. 251-255 and 8th/e, p. 252-253)Naegler's reaction: This reaction is produced by C. perfringens as opalescence in 20% human serum or egg yolk media due to Lecithinase (phospholipase) activity of alpha toxin, it splits lecithin into phosphorylcholine and diacylgly- cerol in the presence of Ca++and Mg++ ions.